Microbes of hospital induced infection (haemolytic Streptococcus) carries in which part of health worker
1. Skin
2. Hair
3. Throat
4. Nail

Correct answer: 3. Throat